The retina is an outgrowth of the -
1. Mesencephalon
2. Diencephalon
3. Telencephalon
4. Pons

Correct answer: 2. Diencephalon